All are true about chronic pancreatitis except
1. Characterized by irregularities of pancreatic ducts, duct strictures and areas of dilation
2. 60-80% will give history of acute episodes
3. CT scan showing pancreatic calcification is diagnostic of chronic pancreatitis
4. Serum amylase is always raised

Correct answer: 4. Serum amylase is always raised

Explanation: Amylase and lipase levels are not always elevated in chronic pancreatitis, making the diagnosis often clinical Cambridge criteria for chronic Pancreatitis on ERCP Stage Typical Changes Normal Normal appearance of side branches and main pancreatic duct Equivocal Dilatation/Obstruction of <3 side branches ; normal main pancreatic duct Mild Dilatation/Obstruction of >3 side branches;normal main pancreatic duct Moderate Additional stenosis and dilatation of main pancreatic duct Severe Additional obstructions, cysts, stenosis of main pancreatic duct ;calculi Ref: Sabiston 20th edition Pgno : 1531-1536